Which is the most active single chemotherapeutic agent in the treatment of leiomyosarcoma?
1. Adriamycin
2. Daunorubicin
3. Methotrexate
4. Cisplatin

Correct answer: 1. Adriamycin

Explanation: Ans. (A) Adriamycin(Ref: KDT 8th/e p926)Doxorubicin (adriamycin) and daunorubicin are anthracycline derivatives.Daunorubicin is mainly used for hematological malignancies (acute leukemia) whereas doxorubicin is used for solid tumors and soft tissue sarcomas.